The purpose of periodontal dressing is
1. Prevent overgrowth of granulation tissue
2. Protect the wound from local environmental changes
3. Make the patient comfortable after periodontal surgery
4. All of the above

Correct answer: 4. All of the above